Snowstorm appearance on ultrasonogrpahy is seen in-
1. Hydatid cyst
2. Pyogenic liver abscess
3. Ectopic pregnancy
4. Molar pregnancy

Correct answer: 4. Molar pregnancy

Explanation: * Hydatid cyst - shows Water lily sign or camalotte sign * Ectopic pregnancy - Shows Ring of fire appearance * Molar pregnancy - shows Snowstorm appearance * Snowstorm sign: Complete hydatiform mole (USG) * Snowstorm sign: Extracapsular breast implant rupture (USG) * Snowstorm sign: Thyroid pulmonary metastases (Chest radiograph) * Snowstorm sign Ascites-meconium peritonitis